Distance between nodal point and cornea in Listing's Reduced eye is
1. 7.2mm
2. 9mm
3. 12mm
4. 15.3mm

Correct answer: 1. 7.2mm

Explanation: Answer- A. 7.2mmNodal Point- 7.2 mm behind the anterior corneal surface